The after coming head of breech chin to pubes is delivered by :
1. Maricelli technique
2. Burns Marshal method
3. Lovest's method
4. Manual rotation and extraction by Piper's forceps

Correct answer: 4. Manual rotation and extraction by Piper's forceps

Explanation: Ans. is d i.e. Manual rotation and extraction by Piper's forceps Sometimes in breech presentation, the after coming head rotates posteriorly so that the face is behind the pubis, this condition is difficult to deliver and is called Chin to pubis rotation. In this situation manual rotation of fetal head and trunk is done as in malar flexion and shoulder traction and then head is delivered with forceps. In case of premature baby, the delivery of head may be completed as face-to-pubis by reversed malar flexion and shoulder traction (Prague manouvere) or by forceps.